Which should not be used in raised IOT associated with uveitis –
1. Timolol
2. Pilocarpine
3. Atropine
4. Acetazolamide

Correct answer: 2. Pilocarpine